All are true about parotid fistula except
1. Complication of superficial parotidectomy
2. Treated with Newman and sea Brock's operation
3. Internal fistula are symptomatic
4. IOC is Sialogram

Correct answer: 3. Internal fistula are symptomatic

Explanation: Internal Fistulas are that open inside mouth and are Asymptomatic.
External Fistulas are 2 types -

(i) Gland fistula
(ii) Duct fistula


Treated with New man and Sea brock's operation.